Inhibin inhibits secretion of which of the following hormone?
1. LH releasing hormone
2. LH
3. FSH
4. Estrogen and progesterone

Correct answer: 3. FSH

Explanation: Inhibin is secreted by sertoli cells and is carried by blood to the anterior pituitary and possibly hypothalamus. This inhibin acts by negative feedback to inhibit secretion of FSH. The principal functions of Sertoli cells are: Maintenance of blood testis barrier Secretion of tubular fluid Secretion of androgen binding protein Secretion of estrogen and inhibin Maintenance and coordination of spermatogenesis Phagocytosis of residual bodies of sperm cells Ref: Human Embryology and Developmental Biology By Bruce M. Carlson page 20.